Cryptococcus can be readily demonstrated by
1. Albert's stain
2. Indian ink stain
3. Giemsa's stain
4. Gram's stain

Correct answer: 2. Indian ink stain

Explanation: Direct microscopic examination of Indian ink-stained wet film of materials from lesions reveals capsulated budding yeast cells, the capsules are common in Indian ink preparation. Ref: Textbook of Microbiology, Ananthanarayan and Paniker; 9th edition